Which of the following constitute grevious injury :
1. Incised wound of scalp
2. Incised wound of thigh
3. Fracture Tibia
4. Laceration of the scalp

Correct answer: 3. Fracture Tibia

Explanation: C i.e. Fracture tibia